Apart from dental caries, streptococcus mutans can cause
1. Endocarditis
2. Food poisioning
3. Urinary tract infection
4. Pharyngitis

Correct answer: 1. Endocarditis